Which of the following is a NOT a feature of NEPHROTIC SYNDROME?
1. Proteinuria
2. Marked Edema
3. Hypoalbuminemia
4. HEMATURIA

Correct answer: 4. HEMATURIA

Explanation: - Hematuria is absent in Nephrotic Syndrome. Essential features of nephrotic syndrome are: Proteinuria>3.5gms /24 hours period Hypoalbuminemia< 2.5gm% Edema, periorbital edema, pedal edema Non-essential features are: Hyperlipidemia: increased cholesterol and increased triglycerides Lipiduria Loss of protein C /S /AT III in urine leading to hypercoagulable state